Accoustomed way of doing things
1. Belief
2. Opinions
3. Habits
4. Attitude

Correct answer: 3. Habits